Disclosure of name of rape victim punishable under
1. Sec. 304-A IPC
2. Sec. 354 IPC
3. Sec. 376 IPC
4. Sec. 228-A IPC

Correct answer: 4. Sec. 228-A IPC

Explanation: Sec 228A(1) prescribes a punishment up to 2 years with fine to whoever prints or publishes the name of a rape victim. Ref: Textbook of Forensic Medicine and Toxicology; 5th ed;